Which of the following is not seen in early phase of myocardial infarction on microscopy ?
1. Coagulation necrosis
2. Edema
3. Hemorrhage
4. Fibrosis

Correct answer: 4. Fibrosis

Explanation: Answer- D. FibrosisFibrosis (scarring) occurs late.Coagulation necrosis, hemorrhage and edema are seen within 4-12 hours.